Preservation of illioinguinal nerve is an important step in inguinal hernia operation while -
1. Incising the sub-cutaneous tissue
2. Incising the extra oblique aponeurosis
3. Incising the cremasteric fascia
4. Isolating the sac

Correct answer: 2. Incising the extra oblique aponeurosis